Microfilaria endemicity index is -
1. % of a persons showing MF in blood and diseased individual
2. % of persons showing MF in blood only
3. Number of MF in the blood
4. Average no. Persons with positive slides

Correct answer: 1. % of a persons showing MF in blood and diseased individual

Explanation: filarial indices 1. Microfilaria rate: percentage of persons showing microfilaria in their peripheral blood (20 cu. mm) in sample population, one slide being taken from each person. 2. Filarial endemicity rate: percentage of persons examined showing microfilaria in their blood/disease Manifestation / both. 3. Microfilarial density: number of microfilaria per unit volume of blood in samples from individual person. 4. Filarial disease rate. {Reference: park's textbook of preventive and social medicine, 23rd edition, pg no.274}